In case of unstable lie of fetus, the placenta is usually :
1. Cornual
2. Lateral wall
3. Fundus
4. Placenta in lower segment

Correct answer: 4. Placenta in lower segment

Explanation: Unstable lie is seen in placenta previa. Other conditions include : Multipara Hydramnios Contracted pelvis Pelvic tumor Ref: Datta Obs 9e pg 372.